Which of the following drugs promotes the release of endogenous insulin ?
1. Acarbose
2. Glipizide
3. Metformin
4. Pioglitazone

Correct answer: 2. Glipizide